Patient with pruritic lesion over Left shoulder showing cigarette paper atrophy and poikiloderma with generalized lymphadenopathy. Histopathologv exmanination of lesion shows CD4 positive sezary leutzner cells. What is the dermo- epidermal manifestation of this disease?
1. Pautrier's micro abscess
2. Pin point ulcers
3. Discharging sinus
4. Miliaria

Correct answer: 1. Pautrier's micro abscess

Explanation: Ans. is 'a' i.e., Pautrier's micro abscess o Patient with pruritic lesion over Left shoulder showing cigarette paper atrophy and poikiloderma with generalized lymphadenopathy. Histopathologv exmanination of lesion shows CD4 positive sezary leutzner cells - points to the diagnosis of Mycosis fungoides.HistplogicaLfeatures of mycpsis fungoideso Histological hallmark is the presence of sezary-Lutzner cells (CD4 positive).o These sezary-Lutzner cells form band like aggregates within superficial dermis and invade epidermis as single cells and small clusters, referred to as pautrier microabscess,o There is pronounced infiltration of sezary-lutzner cells into epidermis which is referred to as epidermotropism.o In more advanced nodular stage these malignant T cells (sezary cells) lose their epidermotropic tendency and grow deeply into the dermis, and eventually seed lymphatics and peripheral circulation.